Which of the following is Gram positive:
1. Veillonella
2. Bacteroides
3. Fusobacterium
4. Actinomyces

Correct answer: 4. Actinomyces

Explanation: Ans. D: Actinomyces Anaerobic bacteria Rods? - Gram positive - Clostridia Gram negative - Bacteroides, Fusobacterium Cocci ? - Gram positive - Streptococci, Peptococci, Peptpstreptococci --Gram negative Veillonella Filamentous ? - Gram positive - Actinomyces -Gram negative - Various gut organisms